The eye condition for which the World Bank assistance was provided to the National Programme for Control of Blindness (1994-2001) is ?
1. Cataract
2. Refractive errors
3. Trachoma
4. Vitamin A deficiency

Correct answer: 1. Cataract

Explanation: Ans. is 'a' i.e., Cataract o World Bank provides assistance to NPCB for control of cataract. o World Bank assisted cataract blindness control project was launched in 1994. Its aim was to reduce the cataract back log in 7 states which were identified to have the highest prevalence of cataract blindness. It has been proposed to perform 1.1 crore cataract operations during the project period 1994-2001.